First step in cholesterol synthesis is inhibited by ?
1. Niacin
2. Fenofibrate
3. Cholestramine
4. Lovastatin

Correct answer: 4. Lovastatin

Explanation: Ans. is 'd' i.e., Lovastatin Statins (Lovastatin) competitively inhibit the conversion of HMG-CoA to mevalonate (rate limiting step in cholesterol synthesis) by inhibiting the enzyme HMG-CoA reductase.Hvpolipidemic drugs HMG-CoA reductase inhibitors (statins) - Lovastatin, Simvastatin, Pravastatin, Atorvastatin, Rosuvastatin.Bile acid sequestrants (Resins) - cholestyramine, colestipol.Activate lipoprotein lipase (fabric acid derivatives) - clofibrate, gemfibrozil, bezafibrate, fenofibrate. 4.Inhibit lipolysis and triglyceride synthesis - Nicotinic acid.Other - Probucol, Gugulipid, Ezetimibe, Avasimibe, Torcetrapib.Ezetimibe inhibits intestinal cholesterole absorption.Avasimibe inhibits enzyme acyl Coenzyme A : cholesterol acyl transferase-1 (A CAT-1) which causes esterification of cholesterol.Torcetrapib inhibits cholesterol ester triglyceride transport protein -4 T HDL cholesterol.